A lady want LASIK surgery for her daughter. She asks for your opinion. All the following things are suitable for performing LASIK surgery except
1. Myopia of 4 Diopters
2. Age of 15 years
3. Stable refraction for 1 year
4. Corneal thickness of 600 microns

Correct answer: 2. Age of 15 years

Explanation: Ans. Age of 15 years